In ankle block all of the nerves are blocked, except
1. Superficial peroneal
2. Deep peroneal
3. Saphenous
4. Common peroneal

Correct answer: 4. Common peroneal

Explanation: In ankle block deep peroneal, superficial peroneal and saphenous nerve are blocked at ankle. The deep peroneal nerve is blocked just lateral to the extensor hallucis longus tendon and medial to the dorsalis pedis artery. The posterior tibial nerve is blocked on either side of the posterior tibial artery (if palpable). Ref Robbins 9e pg788